Carbon di oxide is transported in plasma as:
1. Dissolved form
2. Carbamino compounds
3. Bicarbonate
4. All of the above

Correct answer: 4. All of the above

Explanation: Ans. D: All of the aboveCO2 is carried in blood in three different waysMost of it (about 70% - 80%) is converted to bicarbonate ions by the enzyme carbonic anhydrase in the red blood cells5% - 10% is dissolved in the plasma5% - 10% is bound to hemoglobin as carbamino compounds